A study is planned to check stool occult blood positivity using hemoccult test among a group of participants aged 50 - 75 years. The test is repeated if result is positive. No repeating if the test is negative. What is the effect on sensitivity and specificity?
1. Sensitivity increases specificity decreases
2. Sensitivity decreases specificity increases
3. Sensitivity unchanged specificity increases
4. Sensitivity increases specificity unchanged

Correct answer: 2. Sensitivity decreases specificity increases

Explanation: SCREENING TESTS IN One test (after +ve result) after other Both tests applied together COMBINED SERIES PARALLEL SENSITIVITY Decreases Increases SPECIFICITY Increases Decreases PPV Increases Decreases NPV Decreases Increases